Solitary hypoechoic lesion of the liver without septa or debris is most likely to be:-
1. Hydatid cyst
2. Caroli's disease
3. Liver abscess
4. Simple cyst

Correct answer: 4. Simple cyst

Explanation: Simple hepatic cyst Contain serous fluid, do not communicate with the biliary tree, and do not have septations. Single in 50% cases. Treatment Nonsurgical treatment: Aspiration and injection of a sclerosing agent (most frequently ethanol) Complication MC complication: Intracystic bleeding